Warm antibody in autoimmune hemolytic anemia
1. IgM
2. IgG
3. IgE
4. IgA

Correct answer: 2. IgG

Explanation: Warm antibody is IgG.